Ferning pattern of mucus under influence of:
1. Progesterone
2. Testosterone
3. Estrogen
4. Prostaglandins

Correct answer: 3. Estrogen

Explanation: Ans. C i.e. Estrogen